Closing capacity of lung is related to
1. Small sized bronchioles without cartilage in nondependent portion of lung
2. Small sized bronchioles without cartilage in dependant portion of lung
3. Medium sized bronchioles without cartilage in nondependent portion of lung
4. Medium sized bronchioles without cartilage in dependent portion of lung

Correct answer: 2. Small sized bronchioles without cartilage in dependant portion of lung

Explanation: The closing capacity (CC) is the volume in the lungs at which its smallest airways, the respiratory bronchioles, collapse. It is defined mathematically as the sum of the closing volume and the residual volume. The alveoli lack supporting cartilage and so depend on other factors to keep them open Ref: guyton and hall textbook of medical physiology 12 edition page number:324,325,326